Pseudo kidney is
1. Thickened bowel loop on USG
2. Hydronephrosis
3. Unascended kidney
4. Undescended testes

Correct answer: 1. Thickened bowel loop on USG